Symmetrical areflexic bladder bowel & lower limb occur in
1. Cauda equina syndrome
2. Conus medullaris syndrome
3. Nerve root damage
4. Brown sequerd syndrome

Correct answer: 2. Conus medullaris syndrome

Explanation: B i.e. Conus medullaris syndrome